If there is a Gs alpha subunit gain-of function mutation, this results in
1. Decreased cAMP
2. Decreased IP
3. Increassed GTPase activity
4. Increased cAMP

Correct answer: 4. Increased cAMP

Explanation: The Gs alpha subunit (Gas, Gsa) is a subunit of the heterotrimeric G protein Gs that stimulates the cAMP-dependent pathway by activating adenylyl cyclase. Gsa is a GTPase that functions as a cellular signaling protein Ref-Harper 28/e p447